In trauma, which of the following is increased -a) Epinephrineb) ACTHc) Glucagond) Parathormonee) Insulin
1. abc
2. bc
3. acd
4. bcd

Correct answer: 1. abc